Nitroglycerine can be administered by all of the following routes except:
1. Oral
2. Sublingual
3. Intramuscular
4. Intravenous

Correct answer: 3. Intramuscular